A community has total population 10000. Children ranging 0-6 years are 2000. Literate persons among > 7 years of are 4000. What is Effective literacy rate?
1. 20%
2. 40%
3. 50%
4. 60%

Correct answer: 3. 50%

Explanation: Effective literacy rate (ELR) = No. of literates / Total population > 7 years age X 100 In the given question, Total population = 10000, Population 0-6 years age = 2000 So population > 7 years age = 10000-2000 = 8000 So ELR = 4000/8000 X 100 = 50%